Brown's syndrome simulates paresis of:
1. Inferior oblique
2. Superior oblique
3. Superior rectus
4. Inferior rectus

Correct answer: 1. Inferior oblique

Explanation: Ans. Inferior oblique